The following statements about bupivacaine are true, except:
1. Must never be injected into veinrt
2. More cardiotoxic than lignocaine
3. 0.25 % is effective for sensory block
4. Produces methemoglobinemia

Correct answer: 4. Produces methemoglobinemia

Explanation: Bupivacaine and its congeners - Bupivacaine a long acting local anesthetic is very common in clinical use due to its good capability of differential block. The major demerit is that it is most cardio toxic. It is racemic mixture. Prilocaine is the only local anesthetic that is metabolized to o -toluidine, which converts hemoglobin to methemoglobin producing methemoglobinemia. This is usually significant with doses of prilocaine as large as 600mg. Benzocaine used in topical local anesthetic sprays can also cause dangerous Methemoglobinemia. Treatment of medically important methemoglobinemia includes intravenous methylene blue (1-2 mg/kg of a 1% solution over 5 min). Methylene blue acts by reducing methemoglobin (Fe 3+ ) to hemoglobin (Fe 2+ ).